Phospholipase C acts as secondary messenger for
1. FSH
2. IH
3. TSH
4. GnRH

Correct answer: 4. GnRH

Explanation: Phospholipase C is an enzyme which produces inositol tri phosphate and diacylglycerol They causes release of calcium ions which act as secondary messager Epinephrine, norepinephrine, angiotensin, ADH,TRH also require calcium as secondary messager Ref:Guyton and Hall textbook of medical physiology 12th edition,page number:540 to 545